Which of the following is selective myosin activator?
1. Istaroxime
2. Omecamtiv & Mecarbil
3. Tolvaptan
4. Levosimendan

Correct answer: 2. Omecamtiv & Mecarbil

Explanation: Ans. B. Omecamtiv & MecarbilThese are selective Myosin activator. They prolong the ejection period and increases fractional shortening.